All are contents of cubital fossa except
1. Median nerve
2. Biceps tendon
3. Brachial artery
4. Ulnar nerve

Correct answer: 4. Ulnar nerve

Explanation: Contents of the cubital fossa: Mnemonic: from medial to lateral:MBBR Median nerve Brachial artery Tendon of Biceps Radial nerve. REF:B D Chaurasia 7th edition Page no: 98.